Which of the following artery is most common to undergo atherosclerotic changes leading to coronary artery disease ?
1. Right coronary artery
2. Left anterior descending coronary artery
3. Left circumflex coronary artery
4. Left main coronary artery

Correct answer: 2. Left anterior descending coronary artery

Explanation: Left anterior descending coronary artery(40-50%) is most commonly involved in CAD, followed by Right coronary artery (30-40%)then Left Circumflex coronary artery (15-20%).